Atypical pneumonia can be caused by the following microbial agents except -
1. Mycoplasma
2. Legionella pneumophila
3. Human corona virus
4. Klebsiella pneumoniae

Correct answer: 4. Klebsiella pneumoniae